Drug of choice for Falciparum Malaria is
1. Chloroquine
2. Mefloquine
3. ACT
4. Proguanil

Correct answer: 3. ACT

Explanation: Drug of choice for Plasmodium falciparum, plasmodium malariae is ACT (Artemisinin Combination Therapy) + primaquine Doc for plasmodium vivax & ovale - chloroquine + primaquine Also remember chemoprophylaxis of malaria: - Short term - Doxycycline - Long term - Mefloquine